In radical mastoidectomy all the following are done except
1. Lowering of facial ridge
2. Mucosa and middle ear muscles are removed
3. All the ossicles are removed except the stapes foot plate
4. Maintains patency of eustachian tube

Correct answer: 4. Maintains patency of eustachian tube